The drug of choice in the management of life threatening allergic reaction is:
1. Corticosteroids
2. Antihistamines
3. Adrenalin
4. Diazepam

Correct answer: 3. Adrenalin